All are intermediate filaments except
1. Lamin
2. Cadherin
3. Vimentin
4. Desmin

Correct answer: 2. Cadherin

Explanation: Intermediate filaments Impart tensile strength to tolerate mechanical stress Tissue-specific patterns of expression Useful for assigning cell of origin for poorly differentiated tumours Intermediate filaments Tissue Lamin A, B and C Nuclear lamina of cells Vimentin Mesenchymal cells (fibroblasts, endothelium) Desmin Muscle cells, forming scaffold on which actin & myosin contract Neurofilaments Axons of neurons, imparting strength & rigidity Glial fibrillary acidic proteins Glial cell around neurons Cytokeratins Acidic (type I) & neutral/basic (type II); used as cell markers